Radiation dose monitoring in occupational personal is done by
1. TLD Badge
2. Linear accelerator
3. Collimators
4. Grid

Correct answer: 1. TLD Badge

Explanation: ref : david sutton